Biomedical waste(s) to be discarded in Yellow :
1. Human anatomical waste
2. Animal waste
3. Microbiological waste
4. All

Correct answer: 4. All

Explanation: Ans. is 'a' i.e., Human anatomical waste; b i.e., Animal waste; 'c' i.e., Microbiological waste o Wastes discarded in yellow bag arc : (i) Category I (Human anatomical waste), (ii) Category 2 (Animal waste), (iii) Catagory 3 (Microbiology and Biotechnology waste), and (iv) Catagory 6 (Solid waste).